Most common gynaecological malignancy in affluent obese women is -
1. Endometrial
2. Cervical
3. Vaginal
4. Ovarian

Correct answer: 1. Endometrial

Explanation: Ans. is 'a' i.e., Endometrial o Most common gynaecological cancer in developed countries is endometrial cancer# Most common gynaecological cancer in developing countries like india is cervical cancer.Risk Factorso Estrogen replacement without concomitant progesterone carries a relative risl of 4.5 to 8 & persists for 10 years after treatment is stopped.o BMI >30 kg/m2 will triple the risk of 2 in 1000 of developing endometrial cancer ans 40% of women will develop cancer more than 12 months after stopping therapy.o Women with HNPCC syndrome have 39% risk of developing endometrial cancer by the age of 70 years.o OCP s decrease endometrial cancer risk by 40%, even uptil 15 years after discontinuation and the protection increases with the lenth of use.Epidemoiogyo Most common gynecological malignancy in developed countries and the the 4th most common cancer in women.o 20% of women develop endometrial carcinoma in lifetime.o Mean age ofpresentation is 60 years : peak incidence occurs from 55 to 70 years.o Majority are diagnosed early,o 5 year survival for state 1 disease is more than 90%.o Overall 5 year survival for all stages is 60-70%.Risk factorso Family history'o Hypertensiono Obesityo Late menopause/Early menarcheo Diabeteso A typical endometrial hyperplasiao Unopposed estrogen or increased estrogen in body as in : HRT, fibroid, PCOD and Feminizing ovarian tumours.o Nulliparityo Therapy : Tamoxifen Therapy and Radiation Therapyo H/O infertility/menstrual irregularity.